Which is the most common complication in type 2 diabetes mellitus?
1. Neuropathy
2. Nephropathy
3. Retinopathy
4. Coronary artery disease

Correct answer: 1. Neuropathy

Explanation: The most common complication in type 2 diabetes mellitus is neuropathy affecting 50% of patients. Distal symmetric polyneuropathy leading to loss of function in stocking glove pattern is the leading presentation of diabetic neuropathy.